Which is not seen in hypertensive disorders of pregnancy
1. Macrosomia
2. Eclampsia
3. HELLP syndrome
4. Proteinuria

Correct answer: 1. Macrosomia

Explanation: Hypertensive disorders are more associated with growth restriction rather than macrosomia as it is a condition of reduced placental perfusion. Following are seen in hypertensive disorder: Growth restriction Proteinuria(preeclampsia) Seizures(Eclampsia) End-organ damage (elevated serum creatinine, liver enzymes, LDH, decreased platelet count- HELLP syndrome)